Pepsinogen is secreted by
1. Parietal cells
2. Mucus cells
3. Chief cells
4. Oxyntic cells

Correct answer: 3. Chief cells

Explanation: Chief or zymogen or peptic cells secrete pepsiongens.Parietal or oxyntic cells secrete HCl and intrinsic factor.These cells are located in the body of stomach, including the fundus.(Ref: Ganong's Review of medical physiology, 23 rd edition, page 431)